The ridge that descends from the cuspal tip towards the central part of the occlusal surface in a maxillary molar is
1. Triangular ridge
2. Marginal ridge
3. Transverse ridge
4. Oblique ridge

Correct answer: 1. Triangular ridge